Primary Urban Health Centre should be for a population of:
1. 30,000
2. 50,000
3. 10,000
4. 1,000,000

Correct answer: 2. 50,000

Explanation: URBAN HEALTH CARE DELIVERY MODEL :- Community level: Community outreach services. Sub-primary level: Swasthya chowki 1 Swasthya chowki per 10,000 population. 1 ANM + 1 Community health worker. Primary level: I Primary urban health Centre (PUHC) 1 PUHC/UHC per 50,000 (1 per 25000-30000 in slums). Referral level: Public or empanelled secondary / tertiary care providers. Secondary level Urban Health Centre - Metros- 1 per 5,00,000 ; Non-metros - 1 per 2,50,000.